Contraindications of beta blockers are:  a) Asthma b) Heart block  c) Hypertension d) Arrhythmia
1. b
2. ab
3. c
4. cd

Correct answer: 2. ab